In Niacin deficiency, all of the following are seen except -
1. Deafness
2. Diarrhea
3. Dementia
4. Dermatitis

Correct answer: 1. Deafness

Explanation: - niacin is essential for the metabolism of carbohydrate, fat and protein. It is also essential for the normal functioning of skin , intestinal and nervous system. - niacin deficiency results in pellagra. The disease is characterized by diarrhea, dermatitis and dementia. Reference: Park's textbook of preventive and social medicine, 23rd edition, pg no:619